Post-menopausal woman, fell down in washroom. What is the most common fracture she may suffer?
1. Colles fracture
2. Smith fracture
3. Monteggia's fracture
4. Galeazzi fracture

Correct answer: 1. Colles fracture

Explanation: Colle's fracture is one of the mc fractures occurring in Post-menopausal woman as a result of increased risk of osteoporosis. Typically occurs as a result of falling on outstretched hand.